Liver finding of child with reye's syndrome is ?
1. Macrovesicular steatosis
2. Microvesicular steatosis
3. Hepatocellular necrosis
4. Noncaseating epithelioid granulomas

Correct answer: 2. Microvesicular steatosis

Explanation: Answer- B. Microvesicular steatosisReye's syndrome is a metabolic mitochondrial disorder characterized by-Microvesicular fatty infiltration ofliverEncephalopathySometimes fatty infiltration of kidney